Osteotomy done for mal united supracondylar fracture is :
1. French
2. Shanz's
3. Mc Murry's
4. Mc Alister

Correct answer: 1. French

Explanation: A i.e. French Most common complication of fracture supracondylar humerus MalunionQ Most common deformity produced Cubitus varus (gun by malunion stock deformity)Q Cubitus varus deformity in fracture French/ modified french supracondylar humerus is mostly osteotomyQ (lateral commonly manged by close wedge osteotomy)